The following organism because of its easy culture methods is widely used as bacteriology' indicator of water polution-
1. Foecal streptococci
2. Escherichia soli
3. Clostridium perfringens
4. Salmonella Typhi

Correct answer: 2. Escherichia soli

Explanation: Ans. is 'b' i.e., Escherichia coli